Varicella-zoster virus (VZV) is the cause of chickenpox and herpes zoster. Which of the following statements are true or false? a) Humans are the only known reservoir for VZV b) Secondary and tertiary cases within families are associated with a relatively small number of vesicles c) The most common infectious complication of varicella is secondary bacterial superinfection of the skin, which is usually caused by Streptococcus pyogenes or Staphylococcus aureus d) Varicella pneumonia, the most serious complication following chickenpox e) Perinatal varicella is associated with a high mortality rate
1. a,c, e-True b,d-False
2. a,c,d,e-True b-False
3. b,c,d,e-True a-False
4. a,b,c,d,e-True None -False

Correct answer: 2. a,c,d,e-True b-False

Explanation: This is an important question, Younger children tend to have fewer vesicles than older individuals. Secondary and tertiary cases within families are associated with a relatively large number of vesicles. Ref: Harrisons Principles of Internal Medicine, 18th Edition, Page 1463.